Arrange the following in the sequential order of appearance during intrinsic clotting pathway: A. Phospholipid B. Prekallikrien C. Activated factor V D. Factor XIII
1. B-A-C-D
2. A-C-D-B
3. D-B-A-C
4. B-D-C-A

Correct answer: 1. B-A-C-D

Explanation: TFI - tissue factor pathway inhibitor; TPL - tissue thromboplastin; PL - phospholipid